A partial agonist can antagonize the effects of a full agonist because it has
1. High affinity but low intrinsic activity
2. Low affinity but high intrinsic activity
3. No affinity and low intrinsic activity
4. High affinity but no intrinsic activity

Correct answer: 1. High affinity but low intrinsic activity

Explanation: High affinity but low intrinsic activity. The activity is mainly governed by affinity , intrinsic activity of a drug. iagonist has high affinity and intrinsic activity,antagonist has affinity but no intrinsic activity zero. Partial agonist has high affinity and low intrinsic activity. KDT 6/e pg 37